The drug that DOES NOT result in theophylline toxicity is :
1. Ciprofloxacin
2. Amoxicillin
3. Erythromycin
4. Cimetidine

Correct answer: 2. Amoxicillin